Which of the following statement about Renal Cell Carcinoma (Hypemephroma) is false:
1. Originate in the cortex
2. Histologically are usually Adenocarcinomas
3. May present with varicocele
4. Radiosensitive

Correct answer: 4. Radiosensitive

Explanation: Answer is D (Radiosensitive): Renal cell carcinoma is a relatively radioresistant tumor. Renal cell carcinoma originates in the Renal cortex `Renal cell carcinoma originates in the Renal cortex and tends to grow out into perinephric tissue causing the typical bulge or mass effect that aids in their detection by diagnostic imaging studies' - Smith's Urology Renal Cell carcinoma are adenocarcinomas Histologically Renal cell carcinoma is most often a mixed adenocarcinoma -- Smith's Urology Renal cell carcinomas may present with varicocele 'Renal cell carcinomas may present with Rapidly developing varicocele. Varicocele is usually observed on the left side. This occurs because left gonadal vein is obstructed where it joins the left renal vein. Renal cell carcinomas are Relatively Radioresistant tumors Renal cell carcinomas are generally considered radioresistant tumors Role of Radiotherapy in renal Cell carcinoma Preoperative Radiation has shown no impact on survival Postoperative Radiation has also shown no evidence of improved survival but may be used as it shows improvement in local control. Palliative Radiotherapy has been shown to be effective in metastatic disease to brain, bone and lungs.